Predisposing factors for chronic limb ischaemia are all except
1. Diabetes mellitus
2. Hyperbilirubinemia
3. Hyperlipidemia
4. Renal insufficiency

Correct answer: 2. Hyperbilirubinemia

Explanation: Risk factors for chronic limb ischaemia :

Age.
Smoking.
Hyper homocystinemia.
Diabetes.
Renal insufficiency.
Dyslipidemia.